Atomic absorption Inductively Coupled Plasma Mass Spectroscopy (ICP-MS) is used to measure/detect
1. Hb-derivatives
2. Immunoglobulins
3. Organic compounds
4. Trace & metal elements

Correct answer: 4. Trace & metal elements

Explanation: (D) Trace & metal elements # Atomic absorption Inductively coupled plasma mass spectrometry (ICP-MS).> Is a type of mass spectrometry that is highly sensitive and capable of the determination of a range of metals and several non-metals at concentrations below one part in 1012.> It is based on coupling together an inductively coupled plasma as a method of producing ions (ionization) with a mass spectrometer as a method of separating and detecting the ions.> ICP-MS is also capable of monitoring isotopic speciation for the ions of choice